Caucasian skull is:
1. Elongated
2. Square
3. Narrow
4. Round

Correct answer: 4. Round

Explanation: Ans. Round